The wetting of an adherent surface by an adhesive is related to:
1. Surface energy of the adherent
2. Surface texture of the adherent
3. Surface tension of the adherent
4. Nature of the adherent that is crystalline or amorphous

Correct answer: 1. Surface energy of the adherent